Peroneal artery is a branch of -
1. Posterior tibial
2. Anterior tibial
3. Dorsalis pedis artery
4. Arcuate artery

Correct answer: 1. Posterior tibial

Explanation: Largest terminal branch of posterior tibial artery- peroneal artery